All of the following are associated with Tracheoesophageal fistula except
1. VATER association
2. Oligohydramnios
3. Excessive salivation
4. Aspiration pneumonia

Correct answer: 2. Oligohydramnios

Explanation: VATER/VACTER association is the result of a defective mesodermal development during embryogenesis before the 35th day of gestation. The typical findings are vertebral segmentation defects, anal atresia, tracheoesophageal fistula, cardiac defects, esophageal atresia, single umbilical artery, and radial and renal defectsNameMANIFESTATIONSTracheoesophageal fistulaPolyhydramnios, aspiration pneumonia, excessive salivation, a nasogastric tube cannot be placed in the stomach.Suspect VATER (vertebral defects, imperforate anus, tracheoesophageal fistula, and radial and renal dysplasia) syndrome.Ref: Nelson; 20th edition; Page no: 833; Table: 98-3